Intrauterine insemination means implantation of:
1. Semen
2. Washed semen
3. Million of sperm
4. Fertilized ova

Correct answer: 2. Washed semen

Explanation: Intrauterine insemination is placement of 0.3mL of washed processed and concentrated sperms (devoid of seminal plasma)/semen into the intrauterine cavity by transcervical catheterization.